Endotoxin is part of the outer portion of the cell wall of -
1. Gram-positive bacteria
2. Gram-negative bacteria
3. Candida albicans
4. All of the above

Correct answer: 2. Gram-negative bacteria

Explanation: Endotoxins are heat stable lipopolysaccharides. Forms an integral part of the cell wall of gram-negative bacteria. Do not diffuse into the surrounding medium. Reference : Anathanarayan & paniker's 9th edition, pg no:74